Glibenclamide is preferred over chlorpropamide in the treatment of diabetes mellitus because the latter is more likely to cause:
1. Dilutional hyponatremia
2. Alcohol intolerance
3. Cholestatic jaundice
4. All of the above

Correct answer: 4. All of the above

Explanation: Chlorpropamide can cause: Jaundice Disulfiram like reaction Increase ADH Hyponatremia Increase Insulin Sulfonylureas Meglitinides 1st Generation : Chlorpropamide Tolbutamide - Nateglinide - Repaglinide 2nd generation: Glipizide Glicanide Glibenclamide